Sertoli cell feedback mechanism involves
1. Decreased LH
2. Decreased FSH
3. Decreased TRH
4. Decreased CRH

Correct answer: 2. Decreased FSH

Explanation: Ans (b) Decreased FSH(Ref: Ganong, 25th ed/p.417)Sertoli cells produce the hormone inhibin which inhibits pituitary FSH (negative feedback)LH acts on the Leydig cells of testis to increase the production and secretion of testosterone which inhibits LH (negative feedback).